Most common type of monozygotic twin pregnancy at 4th-8th day of cell division
1. Monochorionic Monoamniotic twins with Siamese presentation
2. Monochorionic Monoamniotic(MO-MO) twins
3. Monochorionic Diamniotic twins(MO-DI)
4. Dichorionic Diamniotic twins (DI-DI)

Correct answer: 3. Monochorionic Diamniotic twins(MO-DI)

Explanation: In monozygotic twins, chorionicity depends upon time of cell division. Time of cell division Chorionicity of placenta First 72 hours post fertilization(morula stage) DCDA 4-8th day(blastocyst stage) MCDA(MC type of monozygotic twins) 8-12th day MCMA >12th day Conjoined/Siamese twins, type of MCMA(fusion of embryonic disc occurs)